National Iron plus initiative includes:
1. Biweekly supplementation of iron & FA to 6-60 months of age
2. Biweekly supplementation of iron & FA to pregnant & lactating woman
3. Biweekly supplementation of iron & FA to adolescent girls
4. All of the above are parts of initiative

Correct answer: 1. Biweekly supplementation of iron & FA to 6-60 months of age

Explanation: - National Iron+ Initiative is another new initiative launched in 2013, to prevent and control iron deficiency anemia, a grave public health challenge in India. - Besides pregnant women and lactating mothers, it aims to provides 20 mg of elemental iron & 100 mcg of folic acid, Biweekly (Syrup) for age group of 6-60 months.